Which positive test does not necessarily indicate HIV infection in a newborn?
1. ELISA for HIV lgG antibody
2. p24 antigen
3. Virus culture
4. ELISA for HIV lgA antibody

Correct answer: 1. ELISA for HIV lgG antibody

Explanation: Ans. is 'a' i.e., ELISA for HIV lgG antibody